Release of ferroportin store is controlled by:
1. Hepcidin
2. Transferrin
3. Ferritin
4. Hepoxin

Correct answer: 1. Hepcidin

Explanation: a. Hepcidin(Ref: Nelson's 20/e p 2323-2325, Ghai 8/e p 334-335)Ferroportin which regulates the Iron release from tissue store house is regulated by hepcidin hormone released by liver.